Most common etiology of recurrent vitreous heamorrhage in young patient
1. Trauma
2. Peripheral detachment of retina
3. Eale's disease
4. CRAO

Correct answer: 3. Eale's disease

Explanation: M/C cause of vitreous haemorrhage in Adults & Children - trauma.
M/C cause of recurent VH in elderly - PDR.
M/C cause of recurrent VH in young - Eales disease.